Which of the following IUCD last for 10 years :
1. Progestasert
2. NOVA-T
3. Cu-T 380A
4. Multiload 250

Correct answer: 3. Cu-T 380A

Explanation: Ans. is c i.e. Cu-T 380A